A patient met with recurrent laryngeal nerve palsy while undergoing thyroid surgery. Which of the following muscles of larynx is/are affected?
1. Posterior crioarytenoid
2. Lateral cricoarytenoid
3. Thyroarytenoid
4. All

Correct answer: 4. All

Explanation: All muscles which move the vocal cord (abductors, adductors or tensors) are supplied by the recurrent laryngeal nerve except the cricothyroid muscle which is supplied by external laryngeal nerve (a branch of superior laryngeal nerve).